Preobesity is defined as BMI of:
1. 18.5-24.9
2. 25-29.9
3. 35-39.9
4. 40-44.9

Correct answer: 2. 25-29.9

Explanation: Ans. B: 25-29.9 BMI is an estimate of total body fat mass and is probably the most useful scale to define obesity. Obesity has been defined as a BMI >30.0 kg/m2 in World Health Organization (WHO) classification Body mass index (BMI), calculated from measured weight and height, was classified using the World Health Organization categories of underweight (BMI < 18.5 kg/m2), normal weight (BMI 18.5 to 24.9 kg/m2), pre-obesity (PreOB = BMI 25 to 29.9 kg/m2) and obesity (OB = BMI 30+ kg/m2)